All are true about amoebic liver abscess except:a) More common in femalesb) More common in left lobe of liverc) Metronidazole is mainstay of treatmentd) Multifocal abscess can not be treated by aspiration
1. ac
2. a
3. ab
4. bc

Correct answer: 3. ab

Explanation: The abscesses referred to in this question are amebic abscesses and not pyogenic abscesses as drainage is indicated in every pyogenic abscess.
The mainstay of treatment for amebic abscesses is metronidazole which is curative in over 90% of pts. Clinical improvement is seen within 3 days.

Aspiration is only recommended for following conditions

for diagnostic uncertainty
for failure to respond to therapy in 3 to 5 days (5 to 7 days according to Maingot's)
abscesses with high risk to rupture (abscess > 5 cms, left lobe abscess)
pyogenic super infection